Lymph node biopsy of an AIDS patient shows:
1. Warthin-Finkeldey cells
2. Marked follicular hyperplasia
3. 'Moth-eaten appearance'
4. All of the above

Correct answer: 4. All of the above

Explanation: Ans. D: All of the above Histopathology of HIV Florid reactive hyperplasia-may be: - Collections of monocytoid B cells in sinuses - Neutrophils - Features of dermatopathic lymphadenopathy Often reactive germinal centers show 'follicle lysis':i.e. invagination of mantle lymphocytes into germinal centers associated with: - Disruption of centers ('moth-eaten appearance') - Distinctive clustering of large follicular center cells resulting appearance termed explosive follicular hyperplasia Occasional polykaryocytes: - Warthin-Finkeldey cells - May be multinucleated form of follicular dendritic cell Electron microscopy: - Sometimes prominent follicular dendritic cells exhibit alterations of their fine processes Interfollicular tissue may show prominent vascular proliferation: vague resemblance to Castleman's disease - These areas and subcapsular region may reveal earliest signs of Kaposi's sarcoma - Sometimes advanced lymphocyte depletion: may be abnormal (regressively transformed) germinal centers